A patient of RHD developed infective endocarditis after dental extraction. Most likely organism causing this is -
1. Streptococcus viridans
2. Streptococcus pneumoniae
3. Streptococcus pyogenes
4. Staphylococcus aureus

Correct answer: 1. Streptococcus viridans

Explanation: Viridans streptococci Commensals in the mouth and upper respiratory tract. Cause transient bacteremia following tooth extraction or other dental procedures; -MC cause of subacute endocarditis: Streptococcus Viridans - MC Streptococcal species in Viridans group causing endocarditis: S. sanguis mc cause of Native valve endocarditis : S. aureus